Humoral immunity arises from -
1. T cells
2. B cells
3. Null cell
4. K cell

Correct answer: 2. B cells

Explanation: Also known as B lymphocytes, are a type of white blood cell of the lymphocyte subtype. They function in the humoral immunity component of the adaptive immune system by secreting antibodies. Additionally, B cells present antigen (they are also classified as professional antigen-presenting cells (APCs)) and secrete cytokines. Reff : Anandhanarayanan &panikers textbook of microbiology 9th edition pg: 131 B cells,